Nipple inversion occurs due to involvement of
1. Cooper ligament
2. Subareolar duct
3. Parenchyma of breast
4. Subdermal lymphatics

Correct answer: 2. Subareolar duct

Explanation: Mastitis in many cases the lactiferous ducts will first become blocked by epithelial debris leading to stasis; this theory is supported by the relatively high incidence of mastitis in women with a retracted nipple.Periductal fibrosis is a sequela of periductal mastitis and may result in nipple retraction.Schwartz surgery 15th edition pg: 509